A 65-year-old man presented with an episode of syncope. He said he felt dizzy during defecation and noticed gross bleeding in the pan. Fecal occult blood test done 3 months ago as a part of routine screening for colon cancer was negative. There is no history of recent weight loss. What is the likely colonoscopic finding?
1. Early stage carcinoma colon
2. Sigmoid diverticulitis
3. Microscopic colitis
4. Dilated mucosal and submucosal veins in the colon

Correct answer: 4. Dilated mucosal and submucosal veins in the colon

Explanation: Diagnosis in a 65-year-old patient of bleeding per rectum with syncope and negative fecal occult blood test and no history of recent weight loss is Heyde's syndrome. The colonoscopic finding in Heyde's syndrome is dilated mucosal and submucosal veins in the colon.